A child presents with multiple vertebral anomalies and a posterior mediastinal mass. Likely diagnosis is:
1. Neuroenteric cyst
2. Meningomyelocele
3. Bronchogenic cyst
4. Neuroblastoma

Correct answer: 1. Neuroenteric cyst

Explanation: Ans. Neuroenteric cyst